Not seen with uremic lung
1. alveolar injury
2. Pulmonary edema
3. Interstitial fibrosis
4. Fibrinous exudate in alveoli

Correct answer: 3. Interstitial fibrosis

Explanation: Ans. is 'c' i.e., Interstitial fibrosis Uremic lung is referred to abnormalities expressed chest x-ray abnormalities seen in patients with CKD. The pathogenesis was believed to be related to blood urea nitrogen and creatinine retention. There is : Its pathophysiology is based on uremia-induced increased permeability of pulmonary alveolo-capillary interfaces, leading to Interstitial and intra-alveolar edema Atelectasis Alveolar hemorrhage Pulmonary hyaline membrane formation. These changes are compounded by bleeding diathesis secondary to platelet dysfunction in advanced renal disease. The pulmonary symptoms and radiographic findings are reversible with hemodialysis.